True about treatment of personality disorder -a) Antipsychotic drugs are usedb) SSRI used in treatmentc) Behaviour therapyd) No need of treatment
1. abc
2. bc
3. acd
4. bcd

Correct answer: 1. abc

Explanation: Antipsychotic drug, SSRI & behavior therapy are used in treatment of various subtypes of PD
Psychotherapy is the treatment of choice for PDQ